Pendred's Syndrome is due to defect in:
1. Chromosome 7p
2. Chromosome 7q
3. Chromosome 8p
4. Chromosome 8q

Correct answer: 2. Chromosome 7q

Explanation: Pendred's Syndrome: Consists of congenital sensorineural hearing loss+ goitre Due to defects in sulfate transport protein (Chromosome 7q) to the thyroid gland and cochlea. Rafetoff Syndrome End organ resistance to T4 Ref: Schwartz 10th edition Pgno: 1534